All of the following may be raised in carcinoid syndrome, Except
1. 5HIAA
2. 5HT
3. 5HTP
4. VMA

Correct answer: 4. VMA

Explanation: Answer is D (VMA): 5HIAA, 5HT, 5HTP are metabolites of Trvptophan / Serotonin that may be elevated in carcinoid tumors. Vanillvl mandilic acid (VMA) is the principal metabolite of catecholamines secreted by adrenal medulla. Elevated VMA levels in urine is a feature of increased catecholamine secreting tumors, typically pheochromocytomas (and not carcinoid tumors).